Which of the following act as a tumour suppressor gene?
1. Myc
2. Fos
3. Ras
4. Rb

Correct answer: 4. Rb

Explanation: Tumor suppressor genes regulate cell growth. Rb gene was the first tumor suppressor gene discovered. In the active state Rb gene serve as a brake on the advancement of cells from the G1 to the S phase of cell cycle. Rb gene located on chromosome 13, when mutated results in retinoblastoma. Ref: Robbins Pathologic Basis of Disease, 6th Edition, Page 287